After renal transplant, what is the most common opportunistic infection?
1. Varicella Zoster virus
2. Cytomegalovirus
3. Ebstein Barr virus
4. Coxsackie virus

Correct answer: 2. Cytomegalovirus

Explanation: About 50% of all renal transplant recipients presents with fever 1-4 months after transplantation have evidence of CMV disease; CMV present as arthralgias, myalgias, or organ-specific symptoms. During this period, this infection may represent primary disease (in the case of a seronegative recipient of a kidney from a seropositive donor) or may represent reactivation disease or superinfection. Patients may have atypical lymphocytosis. Rx- Ganciclovir (or valganciclovir) is beneficial for prophylaxis (when indicated) and for the treatment of serious CMV disease. Opportunistic infection in renal transplantation < 1 month Surgical site infection (SSI) with MRSA 1-6 months Pneumocystis jiroveci Cytomegalovirus (CMV){M/C} Hep B and C > 6 months Aspergillus Nocardia Bk virus(polyoma virus)